Therapy of choice for diffuse toxic goiter in a patient over 55 years:
1. Surgery
2. Antithyroid drugs
3. Radioiodine
4. Antithyroid drugs first followed by surgery

Correct answer: 3. Radioiodine

Explanation: Management- For sympathetic stimulation, first drug given is Propranolol- Antithyroid drugs - symptomatic improvement within 2 weeks- Patient becomes euthyroid within 6 weeks- Antithyroid drugs* Methimazole* Carbimazole* Propylthiouracil Anti-thyroid DOC* In Graves' disease - Methimazole* In Pregnancy - Carbimazole* In Thyrotoxic crisis - Propylthiouracil- TOC - Total Thyroidectomy- Alternative treatment - Radioactive Iodine Ablation- Indications of RAI Ablation* Elderly Patients* Patient with surgical co-morbidities* Recurrence after surgery